Collagen fibers are absent in:
1. Acellular extrinsic fibre cementum
2. Acellular afibrillar cementum
3. Mixed stratified cementum
4. Intermediate cementum

Correct answer: 2. Acellular afibrillar cementum